In an uncomplicated twin pregnancy normal delivery should be attempted in the following situation :
1. First baby - Vertex and second baby transverse lie
2. Both babies are breech presentation
3. First baby transverse lie and second longitudinal lie
4. First baby transverse lie and second frank breech

Correct answer: 1. First baby - Vertex and second baby transverse lie

Explanation: First baby - Vertex and second baby transverse lie